Leading questions are permitted only in
1. A. Examination in chief
2. Cross examination
3. Dying declaration
4. Re-examination

Correct answer: 2. Cross examination

Explanation: (Cross examinations): Ref 1.11-P, 13-MCROSS-EXAMINATION- May be regarded as the most reliable procedure for testing the value of an evidence, and is held by the counsel for the accused.The main objectives of cross-examination are* To elicit facts favourable to his case* To test the accuracy of the statements made by the witness* To shift, modify or explain what has been said* To discredit the witness* To remove an undue or unwarned emphasis* In cross examination, leading questions are permitted and the witness should be very cautious in answering them* Cross examination acts as a double edged sword* There is no time limit for examination